All of the following have no lymphatics, except
1. Brain
2. Internal ear
3. Comea
4. Liver

Correct answer: 4. Liver

Explanation: Lymphatic drainage of liver - The superficial lymphatics of the liver run on the surface of the organ beneath the peritonium, and terminate in caval , hepatic , paracardinal and coeliac lymph nodes. some vessels from the coronary ligament may directly join the thoracic duct. the deep lymphatics end partly in the nodes around the end of the inferior vena cava , and partly in the heatic nodes. Ref : B D Chaurasia's Human Anatomy , seventh edition , volume 2 , pg. no.,335